Macrophages are major source of?
1. IL-1
2. IL-5
3. IL-7
4. IFN- y

Correct answer: 1. IL-1

Explanation: IL-1 REF: Jawett's microbiology, 24th edition chapter 8 Immunology Table 8-3 See APPENDIX-19 for list of "CYTOKINES"